Potter's syndrome" is associated with -
1. Renal anomalies
2. Severe oligohydramnio's
3. Flattened nose
4. All the above

Correct answer: 4. All the above

Explanation: Potter syndrome is characterized by - i) Bilateral renal agenesis ii) Pulmonary hypoplasia iii) Potter facies --> widely separated eyes with epicanthic folds, low set ears, broad compressed flat nose, receding chin. * This condition is incompatible with life, death occurs shortly after birth from pulmonary hypoplasia. * Maternal USG demonstrates - i) Oligohydramnios ii) Nonvisulization of bladder iii) Absent kidney Reference: GHAI Essential pediatrics, 8th edition